Vasomotor centre of medulla is associated with
1. Acts with the cardiovagal centre to maintain B.P.
2. Independent of corticohypothalamic inputs
3. Influenced by baroreceptOrs hbt chemoreceptors
4. Essetially silent in sleep

Correct answer: 1. Acts with the cardiovagal centre to maintain B.P.

Explanation: The vasomotor center (VMC) is a portion of the medulla oblongata that, together with the cardiovascular center and respiratory center, regulates blood pressure and other homeostatic processes Ref: guyton and hall textbook of medical physiology 12 edition page number:216,217,218